Fluctuating refractive errors with cataract are seen in –
1. Morgagnian cataract
2. Diabetic cataract
3. Intumescent cataract
4. Traumatic cataract

Correct answer: 2. Diabetic cataract

Explanation: As blood-sugar levels fluctuate, visual acuity and refractive error can change, sometimes dramatically.